Pulsatile liver and ascites is found in:
1. TR
2. Critical pulmonary stenosis
3. MR
4. MS

Correct answer: 1. TR

Explanation: . Ans. a. TR Hepatomegaly with systolic pulsations (of the liver} and ascites are typically seen in tricuspid regurgitation.Tricuspid Regurgitation (TR)* The clinical features of TR result primarily from systemic venous congestion and reduction in cardiac output.Typical Physical Examination Findings in Tricuspid Regurgitation* Gross fluid retention:* Significant peripheral edema* Ascites* Pieural effusion* Hepatomegaly with a pulsatile liver (enlarged tender liver with systolic pulsations)* Positive hepatojugular reflux* Dilated jugular veins with prominent 'v' waves and rapid 'y' decent* Blowing holosystolic murmur along lower left sternal margin that increases with inspiration* Prominent RV pulsations (Parasternal heaves) over left parasternal region.